A 30year old male with past history of otitis media and mastoiditis presented with severe throbbing headache , high grade fever ,nausea, vomiting, confusion, gait disturbance. On examination he was febrile, ataxic with nystagmus and there was no neck rigidity. Mri brain with contrast revealed a brain abscess. Which of the following is likely site of brain abscess?
1. Temporal lobe
2. Frontal lobe
3. Midbrain
4. Cerebellum

Correct answer: 4. Cerebellum

Explanation: Approximately one-third of brain abscesses are associated with otitis media and mastoiditis, often with an associated cholesteatoma. Otogenic abscesses occur predominantly in the temporal lobe (55-75%) and cerebellum (20-30%). In some series, up to 90% of cerebellar abscesses are otogenic. The clinical presentation of a brain abscess depends on its location, the nature of the primary infection if present, and the level of the ICP. Hemiparesis is the most common localizing sign of a frontal lobe abscess. A temporal lobe abscess may present with a disturbance of language (dysphasia) or an upper homonymous quadrantanopia. Nystagmus and ataxia are signs of a cerebellar abscess. Signs of raised ICP--papilledema, nausea and vomiting, and drowsiness or confusion--can be the dominant presentation of some abscesses, particularly those in the cerebellum. Meningismus is not present unless the abscess has ruptured into the ventricle or the infection has spread to the subarachnoid space. Ref Harrison 20th edition page 1013,1014.